The marker for B-lymphocyte is -
1. CD19
2. CD68
3. CD34
4. CD4

Correct answer: 1. CD19